Metastasis of ca buccal mucosa goes to -
1. Regional lymph node
2. Liver
3. Heart
4. Brain

Correct answer: 1. Regional lymph node

Explanation: "Tumors in this area have a propensity to spread locally and to metastasize to regional lymphatics."- Schwartz
Also know

Lymphatic metastasis of Buccal ca go to submandibular and later upper jugular nodes. - Dhingra 4/e
MC type of Buccal ca → Squamous cell ca
Commonest site of origin → angle of mouth or the line of occlusion of upper and lower teeth (Dhingra)